Upper border of thyroid cartilage is at -
1. C2
2. C4
3. C6
4. Tl

Correct answer: 2. C4

Explanation: Thyroid cartilage, itself lies in front of C4 - C5 level. Its upper border is at C4 vertebra level.

"The superior border of the thyroid cartilage is at the C4 level." — Atlas of anatomy